Waxy flexibility is characteristic of -
1. Excitatory catatonia
2. Stuporous cataonia
3. OCD
4. All

Correct answer: 2. Stuporous cataonia